Submental lymph node drainage by all except -
1. Anterior palate
2. Tip of tongue
3. Floor of mouth
4. Lower lip

Correct answer: 1. Anterior palate

Explanation: Submental lymph nodes drain superficial tissues below the chin, central part of lower lip, adjoining gums, anterior part of floor of mouth and tip of tongue.